35Y male patient with chronic liver disease has Total Bilirubin 2.5 mg/dL ; 3g/dL albumin ; INR=2.0 with slight ascites and Grade 3 encephalopathy , According to given data patient belong to which class of Child Turcotte Pugh score ?
1. Class A
2. Class B
3. Class C
4. Class D

Correct answer: 3. Class C

Explanation: Child-Turcotte-Pugh (CTP) Scoring System CTP score is a measure to assess hepatic function in many liver diseases. Devised to classify patients into risk group prior to undergoing poo- systemic shunt surgeries Used to assess prognosis in cirrhosis. Child-Turcotte-Pugh (CTP) Score Variable 1 Point 2 Point 3 Point Serum albumin (g/dL) >3.5 2.8-3.5 <2.8 Bilirubin (mg/dL) <2 2-3 >3 Prothrombin time ( sec above normal) or INR <4 ;<1.7 4-6 ;1.7-2.3 >6 ;>2.3 Ascites None Controlled Q Uncontrolled Encephalopathy None Controlled Q Uncontrolled Class A 5-6 points Class B 7-9 points Class C 10-15 points Major surgeries can be done only in Class A Only minor surgical procedures can be performed in Class B No surgical intervention should be done in class C (Best treatment is liver transplantation). For given patient details total will be 11 corresponding to class C thus Ans. is option C